What is the most common cause of chronic renal failure?
1. Glomerulonephritis (acute to chronic)
2. Chronic pyelonephritis
3. Diabetes mellitus
4. Hypertensive renal disease

Correct answer: 3. Diabetes mellitus

Explanation: The most common cause of chronic renal failure is diabetes mellitus, not glomerulonephritis. Forty percent of patients with Type I diabetes mellitus eventually develop diabetic nephropathy chronic renal failure. Twenty percent of patients with Type II diabetes mellitus develop diabetic nephropathy and subsequent chronic renal failure. Ref: Obrador G.T. (2009). Chapter 17. Chronic Renal Failure & the Uremic Syndrome. In E.V. Lerma, J.S. Berns, A.R. Nissenson (Eds), CURRENT Diagnosis & Treatment: Nephrology & Hypertension.